Shirodkar sling operation may be associated with all complications except:
1. Enterocele
2. Subacute intestinal obstructions
3. Ureteral injury
4. Parasthesia over inner aspect.

Correct answer: 1. Enterocele

Explanation: Enterocele is a long term complication of purandare sling surgery and not of shirodkar's.